Microcytotoxicity is used for:
1. Tissue typing
2. Drug allergy
3. Infection Susceptibility
4. Substance toxicity

Correct answer: 1. Tissue typing

Explanation: Tissue typing is the technique in which the tissues of a prospective donor and recipient are tested for compatibility before carrying out transplantation. The two commonly used techniques are:- 1.Mixed leukocyte reaction for MHC II 2.Micro-cytotoxicity assay for MHC I